Most friable vegetation is seen in
1. Infective endocarditis
2. Libman sacks endocarditis
3. Non bacterial thrombotic endocarditis
4. Rheumatic heart disease

Correct answer: 1. Infective endocarditis

Explanation: Vegetations on heart valves are the classic hallmark of IE; these are friable, bulky, potentially destructive lesions containing fibrin, inflammatory cells, and bacteria or other organisms (Figs. 12-24 and 12-25). The aortic and mitral valves are the mostsites of infection, although the valves of the right heart may also be involved, particularly in intravenous drug abusers. Vegetations can be single or multiple and may involve more than one valve; they can occasionally erode into the underlying myocardium and produce an abscess (ring abscess; Fig. 12-25B). Vegetations are prone to embolization; because the embolic fragments often contain virulent organisms, abscesses frequently develop where they lodge, leading to sequelae such as septic infarcts or mycotic aneurysms. The vegetations of subacute endocarditis are associated with less valvular destruction than those of acute endocarditis, although the distinction can be subtle. Microscopically, the vegetations of subacute IE typically exhibit granulation tissue at their bases indicative of healing. With time, fibrosis, calcification, and a chronic inflammatory infiltrate can develop.